Sweating a result of exertion is mediated through:
1. Adrenal hormones
2. Sympathetic cholinergic
3. Sympathetic adrenergic
4. Parasympathetic cholinergic

Correct answer: 2. Sympathetic cholinergic

Explanation: B i.e. Sympathetic cholinergic